Digestive enzymes are
1. Hydrolases
2. Oxidoreductases
3. Dehydrogenases
4. Ligases

Correct answer: 1. Hydrolases

Explanation: Hydrolases are any class of enzymes which catalyze the hydrolysis of proteins, nucleic acids, starch, fats, phosphate esters, and other macromolecular substances. The hydrolysis is carried out through the addition of water. Digestive enzymes carry out their function in this way, hence they are called hydrolase Enzymes are globular proteins that control biological reactions. Digestive enzymes speed up the breakdown (hydrolysis) of food molecules into their 'building block' components. These reactions occur outside of the cells lining the gut.